Refractive condition of the eye at birth is –
1. Hypermetropia of 2D
2. Myopia of 2 D
3. Hypermetropia of 5D
4. Myopia of 5D

Correct answer: 1. Hypermetropia of 2D

Explanation: The newborn is usually hypermetropic by +2 to +3D.